Autosomal recessive diseases are except
1. Hereditary spherocytosis
2. Thalasemia
3. Sickle cell anemia
4. Cystic fibrosis

Correct answer: 1. Hereditary spherocytosis

Explanation: Hereditary spherocytosis is an autosomal dominant disorder Refer Robbin's 7th/151,8th/151-2,9/e p141